Drug used in multiple sclerosis -
1. Inferferon alpha
2. Interferon beta
3. Interferon gamma
4. Infliximab

Correct answer: 2. Interferon beta